Most common site of chronic fissure in ano
1. Anterior
2. Anterolateral
3. Posterior
4. Lateral

Correct answer: 3. Posterior

Explanation: Chronic fissure in ano will present as skin tags in posterior anal canal.